Which of the following phospholipid has antigenic acitivity ?
1. Plasmalogen
2. Cardiolipin
3. Phosphatidylcholine
4. Sphingomyelin

Correct answer: 2. Cardiolipin

Explanation: Ans. is 'b i.e., Cardiolipin Cardiolipin is the only human glycerophospholipid that possess antigenic properties" Cardiolipin is the major lipid of inner mitochondrial membrane.